Which heart valve has leaflets described as "anterior, left and right"?
1. Aortic
2. Pulmonary
3. Left atrioventricular
4. Right atrioventricular

Correct answer: 2. Pulmonary

Explanation: The leaflets of the pulmonic valve are named anterior, left, and right, according to their orientation. The leaflets of the aortic valve are named posterior, left, and right, with the left and right aortic sinuses above these leaflets giving off their respective coronary arteries. The mitral valve has a left and right cusp, while the tricuspid valve has a septal, anterior, and smaller posterior cusp. Ref: Barrett K.E., Barman S.M., Boitano S., Brooks H.L. (2012). Chapter 30. The Heart as a Pump. In K.E. Barrett, S.M. Barman, S. Boitano, H.L. Brooks (Eds),Ganong's Review of Medical Physiology, 24e.